OATP 1B1/2 gene mutation is seen in
1. Gilbert syndrome
2. Rotor syndrome
3. Crigler Najjar syndrome
4. Dubin Johnson syndrome

Correct answer: 2. Rotor syndrome

Explanation: OATP 1B1/2 gene mutation - Rotor syndrome
ABCCA gene mutation - Dubin johnson syndrome